Gardener's syndrome is a rare hereditary disorder involving the colon. It is characterized by
1. Polyposis colon, Cancer thyroid, skin tumours
2. Polyposis is jejunum, pituaitary adenoma and skin tumours
3. Polyposis colon, osteomas, epidermal inclusion cysts and fibrous tumours in the skin
4. Polyposis of gastrointestinal tract, cholangiocarcinoma and skin tumours

Correct answer: 3. Polyposis colon, osteomas, epidermal inclusion cysts and fibrous tumours in the skin

Explanation: .GARDNER'S SYNDROME * It is commonly associated with FAP - 10%. * Presents with bone, skin, soft tissue and dental abnormalities. Jaw osteomas are very common. Other features are epidermoid cysts (50%), exostoses, fibromas, lipomas. * Associated with desmoid tumours seen in the scar, abdomen, intraabdominal region and mesenteric fibromatosis. * Congenital hypertrophy of pigment layer of retina (seen as pigment spots)--commonly seen. * Often associated with MEN IIb syndrome. ref:SRB's manual of surgery,ed 3,pg no 834